During starvation, Brian utilizes
1. Glycogen
2. Fattey acids
3. Ketone bodies
4. None

Correct answer: 3. Ketone bodies

Explanation: Brain and starvation: During starvation, a significant part (60-70%) of the energy requirement of the brain is then met by ketone bodies (Fig. 8.1) Brain and acetoacetate: The brain is unable to utilize fatty acids as a source of fuel since the fatty acids complexed to albumin are unable to traverse the blood-brain barrier. But, the brain can effectively utilize acetoacetate. This is again a survival technique in diabetic and starvation ketosis.Ref: DM Vasudevan, 7th edition, page no: 100